Diagnosis of imminent ovulation is :
1. Endometrial biopsy
2. Pain
3. Temperature chart
4. LH surge

Correct answer: 4. LH surge

Explanation: LH surge